Which of the following is a 2nd generation antihistaminic?
1. Fexofenadine
2. Dimenhydrinate
3. Promethazine
4. Pheneramine

Correct answer: 1. Fexofenadine

Explanation: Fexofenadine, Loratidine, Cetrizine, Astemizole, Azelastine etc are 2nd gen antihistaminic drugs -less sedativeRef: KD.Tripati 6th ed.Pg 158